All are paired venous sinuses except
1. Superior petorsal
2. Inferior petorsal
3. Superior sagittal
4. Transverse

Correct answer: 3. Superior sagittal

Explanation: PAIRED VENOUS SINUSES: 1.Cavernous sinus 2.Superior petrosal sinus 3.Inferior petrosal sinus 4.Transverse sinus 5.Sigmoid sinus 6.Sphenoparietal sinus 7.Petrosquamous sinus 8.Middle meningeal sinus NOTES: UNPAIRED VENOUS SINUSES: 1.Superior sagittal sinus 2.Inferior sagittal sinus 3.Straight sinus 4.Occipital sinus 5.Anterior intercavernous sinus 6.Posterior intercavernous sinus 7.Basilar plexus of veins Ref BDC volume 3,Sixth edition pg 193